A pt is brought to the emergency as a case of head injury, following a head on collision road traffic accident. His BP is 90/60 mmHg. Tachycardia is present. Most likely diagnosis is -
1. EDH
2. SDH
3. Intracranial hemorrhage
4. Intraabdominal bleed

Correct answer: 4. Intraabdominal bleed